Which is the earliest symptom of benign hypertrophy of prostate
1. Increased Frequency
2. Nocturia
3. Narrow stream
4. Incontinence

Correct answer: 1. Increased Frequency

Explanation: Earliest feature of BPH is increased frequency.